Vision loss in HIV is commonly due to infection with:
1. Herpes virus
2. Toxocara
3. Toxoplasma
4. Cytomegalovirus

Correct answer: 4. Cytomegalovirus

Explanation: Ans. D: Cytomegalovirus Cytomegalovirus (CMV) retinitis is a sight-threatening disease frequently associated with Acquired Immunodeficiency Syndrome (AIDS). Patients with retinitis caused by CMV infection may be asymptomatic or may experience blurred vision, floaters, scotomata, or central or peripheral vision loss or distortion. Retinal examination shows creamy to yellowish lesions, white granular areas with perivascular exudates, and hemorrhages ("cottage cheese and ketchup"). The abnormalities initially appear in the periphery, but progress if untreated to involve the macula and optic disc. Vision loss is usually permanent.